In slow sand filters, the percentage of waters that is bacteria-free:
1. 100%
2. 99.90%
3. 99%
4. 90%

Correct answer: 2. 99.90%

Explanation: The total bacterial count is reduced by 99.9 to 99.99%.
Essentials of preventive and community dentistry 
Soben Peter 
5th edition